Fibroma combined with glandular tissue is
1. Neurofibroma
2. Fibroadenoma
3. Fibrolipoma
4. Fibromyoma

Correct answer: 2. Fibroadenoma